A patient presents with cutaneous vasculitis, glomerulonephritis and peripheral neuropathy. What investigation is to be performed next for work up?
1. ANCA
2. RA factor
3. HBsAg
4. CRP

Correct answer: 1. ANCA

Explanation: C-ANCA (Ag against which C ANCA is directed against is -Proteinase 3) P-ANCA - (Ag against which P ANCA is directed against is -MPO)